Thoracic sympathetic nerve trunk lies
1. In front of body of vertebra
2. Infront of head of ribs
3. Anterior to the costal pleura
4. Behind the sternum

Correct answer: 2. Infront of head of ribs

Explanation: The chain crosses the head of second to tenth rib BD CHAURASIA'S HUMAN ANATOMY UPPER LIMB THORAX SIXTH EDITION VOL 1PAGE NO 224